Favus is caused by:
1. Blockage of sebaceous duct
2. Staph aureus
3. Trichophyton schoenleinii
4. Trichophyton concentricum

Correct answer: 3. Trichophyton schoenleinii

Explanation: Favus is a form of tinea capitis in which there is formation of crusting lesions (scutula) in the involved region of the infection. It is most often caused by T. schoenleinii.